Corneal dystrophies are –a) Macularb) Granularc) Latticed) Moorense) Fuchs
1. bcde
2. abcd
3. acde
4. abce

Correct answer: 4. abce

Explanation: Macular, granular and lattice dystrophies are stromal corneal dystrophies. Fuch's dystrophy is posterior (endothelial) corneal dystrophy.